BACA-1 Gene is located on -
1. Chromosome 13
2. Chromosome 11
3. Chromosome 17
4. Chromosome 22

Correct answer: 3. Chromosome 17

Explanation: Ans. is 'c' i.e., Chromosome 17